Output cells of cerebellum -
1. Basket cells
2. Granule cells
3. Stellate cells
4. Purkinje cells

Correct answer: 4. Purkinje cells

Explanation: Ans. is 'd' i.e., Purkinje cells o The cerebellar cortex contains five types of neurons : Purkinje cells, granule cells, basket cells, stellate cells, and golgi cells.o The axons of purkinje cells are the only output from the cerebellar cortex, generally pass to the deep nucleio Neurons of deep nuclei form the ultimate (final) efferent output of cerebellum.